A gardener has multiple vesicles on hand and multiple eruptions along the lymphatics. The most common fungus responsible is?
1. Sporothrix schenckii
2. Cladosporium
3. Histoplasma
4. Candida

Correct answer: 1. Sporothrix schenckii

Explanation: Multiple vesicles on hand and multiple eruptions along the lymphatics in a gardener suggest typical clinical manifestation of Sporotrichosis.
Sporotrichosis caused by thermally dimorphic fungi, Sporothrix schenckii
Infection is introduced in skin by trauma (thorn prick injury), hence Sporotrichosis also called as ‘Rose Gardener’s disease’. Draining lymphatic system involvement is characteristic.